Systemic miliary TB occurs when spread occurs ?
1. Arterial
2. Venous
3. Lymphatic
4. Direct dissemination

Correct answer: 1. Arterial

Explanation: Ans. is 'a' i.e., Arterial Systemic miliary tuberculosis occurs when tubercle bacteria disseminate through the systemic arterial system. Miliarytuberculosis is most prominent in the liver, bone marrow, spleen, adrenals, meninges, kidneys, fallopian tubes, and epi- didymis, but could involve any organ. Miliary pulmonary disease occurs when organisms draining through lymphatics enter the venous blood and circulate back to the lung.